A patient has Hb 6gm%, folic acid 8 ng/ml, vitamin B12 60pg/ml, serum iron 16011g/d1, and MCV-104. The diagnosis is:
1. Iron deficiency anemia
2. Vitamin B12 deficinecy
3. Folic acid deficiency
4. Pyridoxine deficiency

Correct answer: 2. Vitamin B12 deficinecy

Explanation: Answer is B (vitamin Bp is Deficiency) Presence of anemia (Hb= 6gm%) Macrocytosis (MCV=104) and decreased vitamin B12 levels (B12=60 pg/ml) suggests a diagnosis of megaloblastic anemia due to vitamin B12 deficiency. Reference values from Harrison's Appendix A Parameter Normal Values Patient value Inference Hb 13-18 g/dl 6 gmldl Anemia HCV 79-93.3/L 104 fL Macrocytosis Vitamin B12 >250 pg/ml 60 pg/mI Vitamin B12 deficiency Folic Acid 5.4-18.0 ng/ml 8 ng/ml Normal folate levels Iron 30-160 ug/dl 160 ug/dl Normal The patient in question, thus has a macrocytic anemia due to vitamin B12 deficiency.